In a diving accident that severed the spinal cord below the sixth cervical vertebra, which of the following muscle would be affected?
1. Deltoid
2. Infraspinatus
3. Latissimus Dorsi
4. Levator Scapulae

Correct answer: 3. Latissimus Dorsi

Explanation: If the spinal cord was severed beneath the 6th cervical vertebra, all nerve roots below C6 would be affected. So, latissimus dorsi, which is innervated by the thoracodorsal nerve (C6, C7, C8) would be affected.Deltoid is supplied by the axillary nerve (C5, C6). Infraspinatus is supplied by the suprascapular nerve (C5, C6). Levator Scapulae is supplied by the dorsal scapular nerve (C5). Trapezius Is supplied by the accessory nerve (CN XI). All of these nerve nerves would be intact, so these muscles would not be affected after the accident.